Moist heat kills of the following except -
1. Brucella
2. Mycobateria
3. Salmonella
4. Coxiella burnetti

Correct answer: 4. Coxiella burnetti

Explanation: Temperature below 100 for pasteurisation of milk : The milk is heated is heated at either 63degC for 30 minutes or 72degC for 15-20 seconds followed by cooling quickly to 13"C or lower . By these processes all non sporingn pathogen such as mycobacteria , brucellae and salmonellae are destroyed Coxiella burnettii is relativly heat resistant and may survive the holder method Ref Ananthanarayan & panikers textbook of microbiology 9th edition page no 30